Isotope used in ventriculography is
1. Gallium
2. Lipoidate
3. Technetium (Tc)
4. Diatrizoate

Correct answer: 3. Technetium (Tc)

Explanation: C i.e. Technetium Radionuclide Used In Technetium (Tc) 99 VentriculographyQ, Bone scanQ, Liver scanQ, Kidney Thallium - 201 Myocardiol perfusionQ Tc 99-pyrophosphate Myocardial Infarction (MI) = hot spot in acute MIQ Tc-albumin Myocardial function (ventriculography)12 Tc- Thallium - substraction scan MIBI -Scan (preferred) Parathyroid G landQ Tc - labelled - RBC Splenic diseaseQ MIBG Scan (using 1123/031) Extra-adrenal /Ectopic /Metastatic / Locally recurrent pheochromocytomaQ Selenium 75 methionine PancreasQ 1131 & 1132 Placental functionQ 1131 & Selenium Thyroid Kidney 1131 ohohippurate Gallium scan Abscess